Vecuronium acts on :
1. Cerebral cortex
2. Myoneural junction
3. Muscle fibres
4. Spinal cord

Correct answer: 2. Myoneural junction

Explanation: Ans. is 'b' i.e. Myoneural junction Vecuronium is a non depolarizing neuromuscular blocking agent.It acts on nicotinic receptor at neuromuscular junctions and blocks the depolarization by inhibiting Na+ channels.